Medullary thyroid carcinoma is associated with-
1. MEN I
2. MEN II
3. MEN IV
4. All of the above

Correct answer: 2. MEN II

Explanation: Ans. is 'b' i.e., MEN II o About 70% of tumors arise sporadically. The remainder occurs in the rsetting of MEN syndrome 2A or 2B or as familial tumors without an associated MEN syndrome (familial medullary thyroid carcinoma, or FMTC